As per WHO low birth weight is defined as ?
1. Birth weight less than 2.5 kg
2. Birth weight < 10th percentile
3. Gestational age < 34 weeks
4. Gestational age < 28 weeks

Correct answer: 1. Birth weight less than 2.5 kg

Explanation: Ans. is 'a' i.e., Birth weight less than 2.5 kg o Appropriate for gestational age (appropriate for date) Babies with birth weight ranging between 10th to 90th percentile on such a chart are considered appropriate for date. Small for gestational age (small for date) Babies with birth weight less than 10th percentile are categorized as small for dates. o Large for gestational age (large for date) Babies with birth weight more than 90th percentile are categorized as large for date. o Low birth weight newborn Any neonate weighing less than 2500 gm at birth irrespective of the gestational age. o Very low birth weight newborn Any neonate weighing less than 1500 gm at birth irrespective of the gestational age. o Extremely low birth weight newborn Any neonate weighing less than 1000 gm at birth irrespective of the gestational age.